Formocresol saturated cotton pellet is placed over the
amputated pulp stumps for:
1. 1 minute
2. 2 minutes
3. 4 minutes
4. 5 minutes

Correct answer: 4. 5 minutes